Whitemore bacillus is
1. Haemophilus influenza
2. Burkholderia mallei
3. Burkholderia pseudomallei
4. Burkholderia cepaciae

Correct answer: 3. Burkholderia pseudomallei

Explanation: Disease Melioidosis is epizootic in rodents in southeast Asia and N.australia was first deceived by whitemore and krishnaswami.so burkholderia pseudomallei which cause Melioidosis is whitemore bacillus Ref:anantnarayan and paniker's microbiology 10th edition